Jaundice in the new-born is physiological when ?
1. The infant is visibly jaundiced in the first 24 hours of birth
2. The total bilirubin concentration in the serum increases by 1 mg/dirt per day
3. The total bilirubin concentration is above 15 mg/dl
4. Jaundice persists for more than one week in a term infant

Correct answer: 2. The total bilirubin concentration in the serum increases by 1 mg/dirt per day

Explanation: Ans. is 'b' i.e., The total bilirubin concentration in the serum increases by 1 mg/dl per day